Denominator while calculating the secondary attack rate includes-
1. All the people living in next fifty houses
2. All the close contacts
3. All susceptible among close contacts
4. All susceptible in the whole village

Correct answer: 3. All susceptible among close contacts

Explanation: The denominator consists of all persons who are exposed to the case. More specifically the denominator may be restricted only to susceptible contacts if means are available to distinguish the susceptible persons from the immune. (refer pg no 100 park 23rd edition)